All are features of fungal keratitis, EXCEPT
1. Less symptoms, more signs
2. Infected hypopyon
3. Early vascularisation of cornea
4. Dry white slough

Correct answer: 3. Early vascularisation of cornea

Explanation: C i.e. Early vascularization of cornea